Sarcomere is the area between
1. Two consecutive 1 bands
2. Two adjacent Z lines
3. A band and I band
4. Two H zones

Correct answer: 2. Two adjacent Z lines

Explanation: The area between two adjacent Z lines is called a sarcomere.(REF TEXTBOOK OF MEDICAL PHYSIOLOGY GEETHA N 2 EDITION, PAGE NO-38)